On in E.C.G tracing, the presence of right atrial hypertrophy is suggested by -
1. Tall spiky P wave
2. Widened P wave
3. Prolonged P-R interval
4. Increased P-Q segment

Correct answer: 1. Tall spiky P wave

Explanation: Right atrial enlargement produces a peaked P wave (P pulmonale) with amplitude: > 2.5 mm in the inferior leads (II, III and AVF) > 1.5 mm in V1 and V2 Ref : Harrison 20th edition pg 1583